All of the following can be used to predict severe acute pancreatitis, EXCEPT:
1. Glasgow score 3
2. Apache II score 9
3. CT severity score 6
4. C reactive protein < 100

Correct answer: 4. C reactive protein < 100

Explanation: On account of difference in the outcome between patients with mild and severe disease, it is important to define that group of patients who will develop severe pancreatitis. Criteria used to determine the severity of acute pancreatitis: Criteria used Score at which severity is indicated Apache score 8 Glasgow score 3 Ranson criteria 3 CT severity index 6 C- reactive protein > 150 mg L Ref: Harrison 17/e, Page 2008; Bailey & Love 1140.